When sebaceous cyst of the scalp is ulcerated, excessive granulation tissue forms fungating epithelioma is known as:
1. Cock's peculiar tumour.
2. Sebaceous horn.
3. Sequestration dermoid.
4. Terstomatous dermoid.

Correct answer: 1. Cock's peculiar tumour.